Which of the following is not a usual feature of right middle cerebral artery territory infarct?
1. Aphasia
2. Hemiparesis
3. Facial weakness
4. Dysarthria

Correct answer: 1. Aphasia

Explanation: The cortical branches of the MCA supply the lateral surface of the hemisphere except for (1) the frontal pole and a strip along the superomedial border of the frontal and parietal lobes supplied by the ACA, and (2) the lower temporal and occipital pole convolutions supplied by the PCA.The proximal MCA (M1 segment) (lenticulostriate arteries) that supply the putamen, outer globus pallidus, posterior limb of the internal capsule, the adjacent corona radiata, and most of the caudate nucleus.In the Sylvian fissure, the MCA in most patients divides into superior and inferior divisions (M2 branches). Branches of the inferior division supply the inferior parietal and temporal cortex, and those from the superior division supply the frontal and superior parietal cortex.If the entire MCA is occluded at its origin (blocking both its penetrating and cortical branches) and the distal collaterals are limited, the clinical findings are contralateral hemiplegia, hemianesthesia, homonymous hemianopia, and a day or two of gaze preference to the ipsilateral side.Dysarthria is common because of facial weakness.When the dominant hemisphere is involved, global aphasia is present also, and when the nondominant hemisphere is affected, anosognosia, constructional apraxia, and neglect are found.Partial syndromes may also be due to emboli that enter the proximal MCA without complete occlusion, occlude distal MCA branches, or fragment and move distally( Ref: Harrison's 18/e p3284)